Isocapnic exercise is ?
1. Breathing for short duration against resistance
2. Breathing of decreased volume of ventilation
3. Breathing of increased volume of ventilation for long period
4. Breathing of decreased volume for long period

Correct answer: 3. Breathing of increased volume of ventilation for long period

Explanation: Ans. is 'c' i.e., Breathing of increased volume of ventilation for long period